First and most prominent radiological sign of raised intra cranial tension in infants and children on plain x- ray
1. Copper beaten appearance
2. Suture diastasis
3. Erosion of dorsum sellae
4. J shaped sella

Correct answer: 2. Suture diastasis

Explanation: First & most prominent in infant and children - Suture diastasis.
Cardinal sign of raised ICT in adults - Erosion of dorsum sellae.